A malnourished child from poor socio economic status reading in overcrowd and dirty areas presents with a nodule around limbus with hyperemia of conjuctiva. Other significant findings were axillary and Cervical lymph adenopathy
1. Phylectenular conjuctivitis
2. Foreign body granuloma
3. Scleritis
4. Episcleritis

Correct answer: 1. Phylectenular conjuctivitis

Explanation: The history suggests that the child had TB and due to endogenous allergy ,he is suffering from Phlyctenular conjunctivitis. The nodule around the limbus is called the Phlycten Refer: Khurana 6th edition page number 83